There is a population of 20000 people with mean hemoglobin being 13.5 gm% having a normal distribution. What proportion of the population constitutes proportion of more than 13.5 gm%?
1. 0.25
2. 0.5
3. 1
4. 0.34

Correct answer: 2. 0.5

Explanation: In a normal distribution, 50% of values lie above mean (or Median or Mode).